Saw tooth retepegs are seen in
1. Lichen planus
2. Leukoplakia
3. Pamphigus vulgaris
4. Psoriasis

Correct answer: 1. Lichen planus

Explanation: Histology of Lichen planus: